Modified Biophysical profile is
1. NST+FETAL TONE
2. FETAL TONE+AFI
3. NST+AFI
4. NST+FETAL TONE+AFI

Correct answer: 3. NST+AFI

Explanation: Modified biophysical profile: NST+AFI (takes only 10 minutes to perform) Biophysical profile : most accurate means of assessing fetal health as used 5 variables instead of 1.5 fetal biophysical components used are - a) Heart rate acceleration b) Breathing c) Movements d) Tone e) Amniotic fluid volumeThis test takes 30-60 minutes of examiner time.